Isometric relaxation is defined as
1. Relaxation of both atria
2. Relaxation of both atria with all valves open
3. Relaxation of LV with mital and aortic valve closed
4. Relaxation of LV with mital and aortic valve open

Correct answer: 3. Relaxation of LV with mital and aortic valve closed

Explanation: Ans. (c) Relaxation of LV with mital and aortic valve closedRef: Ganong, 25th ed/p.541Isovolumetric relaxation#At the end of systole both the AV valves and semilunar valves are closed, pressure inside the ventricles falls even more without any change in volume(isovolumetric)